Diapedesis primarily occurs in?
1. Arterioles
2. Venules
3. Capillaries
4. None

Correct answer: 2. Venules

Explanation: Ans is 'b' i.e. Venules o Diapedesis is the process of transmigration of leukocytes across the endotheliumo Leukocyte diapedesis, similar to increased vascular permeability, occurs predominantly in the venules (except in lungs, where it occurs in capillaries).